Commonest malignant tumor of skeletal system -
1. Multiple myeloma
2. Metastasis
3. Osteosarcoma
4. Chondrosarcoma

Correct answer: 2. Metastasis

Explanation: Ans. is 'b' i.e., MetastasisImportant factso Commonest bone malignancies-Secondarieso Commonest primary malignant tumor-Multiple myelomao Commonest primary malignant tumor of long bones-Osteosarcomao Commonest benign tumor of bone(Osteochondroma is not true neoplasm since its growth stops with cessation of growth at the epiphyseal plate)-Osteochondromao Commonest true benign tumor of bone-Osteoid osteomao Commonest benign tumor of hand-Enchondroma